Following can be used in the treatment of myoclonic seizures except –
1. Valporate
2. Carbamazepine
3. Topiramate
4. Zonisamide

Correct answer: 2. Carbamazepine

Explanation: Drugs used in myoclonic epilepsy

Valproate (DOC)                          
Lamotrigine        
Topiramate     
Clonazepam  
Felbamate  
Zonisamide